Exsanguination is one of the first steps before application of a tourniquet preoperatively. All the following are contra indications for exsanguination except
1. Deep vein thrombosis
2. Underlying fracture
3. Presence of infection
4. Tumour

Correct answer: 2. Underlying fracture

Explanation: Presence of underlying infection or tumor is an absolute contra indication for exsanguination since that can cause dissemination. Fatal pulmonary embolism may result if exsanguination is done over underlying deep vein thrombosis